Regarding HIV transmission to foetus all are true except –a) > 50% risk of transmission to foetusb) Can present as failure to thrivec) Greatest risk of transmission of in perinatal periodd) Cannot be diagnosed
1. b
2. ad
3. ac
4. ab

Correct answer: 2. ad